Wave II in BERA originates from ?
1. Cochlear nucleus
2. Lateral laminiscus
3. Proximal eighth nerve
4. Distal eighth nerve

Correct answer: 3. Proximal eighth nerve

Explanation: Waves of BERA Anatomical site from where the waves arises are: Wave I- distal part of 8th nerve Wave II - proximal part of 8th nerve Wave III- cochlear nucleus Wave IV- superior olivary complex Wave V- lateral lemniscus Waves VI & VII- inferior colliculus